Most common site for diverticuiosis is-
1. Sigmoid colon.
2. Ascending colon
3. Transverse colon
4. Spleenic flexure

Correct answer: 1. Sigmoid colon.

Explanation: Ans. is 'a' i.e.. Sigmoid colon o The sigmoid colon is the most common site of diverticulosis.